N.K. Cell provides immunity against
1. Virus
2. Bacteria
3. Fungus
4. Chlamydia

Correct answer: 1. Virus

Explanation: Ans. is 'a' i.e., Virus . NK cells are considered to be important in immune surveillance and natural defence against virus infected cells and malignant mutant cells.